Vegetable fat differs from animal oil in being –
1. More saturated
2. More stable
3. More atherosclerotic
4. Contains less fat soluble vitamin

Correct answer: 4. Contains less fat soluble vitamin

Explanation: Vegetable fats are more unsaturated than animal fats, PUFA is found mostly in vegetable fats.

However, there are exceptions, as for example coconut and palm oils although vegetable oils, have an extremely high percentage of saturated fatty acids. On the other hand , fish oil contain good percentage of PUFA

Vegetable fats are less stable.

They contain high no. of unsaturated bonds which undergo spontaneous oxidation at the double bond forming aldehydes,ketones and resins.

Vegetable fats are less atherosclerotic;

In fact PUFA have a favorable effect on serum lipid profile. They decrease LDL and increase HDL ( good cholesterol ).Essential fatty acids ( high percentage in vegetable fat) decrease the platelet adhesiveness.

Vegetable fat contains less fat soluble vitamins (A,D,E & K vitamin).

For this reason Vanaspati Ghee is fortified with vit. A *& D by government regulation (DALDA)